Decreased Radio iodine uptake is/are seen in -
1. Toxic multinodular goiter
2. Grave's disease
3. Subacute thyroiditis
4. Autonomous nodular goitre

Correct answer: 3. Subacute thyroiditis

Explanation: Answer is option 3- subacute thyroiditis High RAIU is seen in :- graves disease, toxic nodule, autonomous nodular goitre, metastatic follicular thyroid carcinoma, hcg dependent hyperthyroidism of trophoblastic disease. Low RAIU is seen in :- subacute thyroiditis, lymphocytic thyroiditis, postpartum thyroiditis, exogenous hyperthyroidism. Ref - Harrisons internal medicine 20e topic thyroid from p2692